Use of lithium in pregnancy can result in which of the following abnormalities in the baby?
1. Anencephaly
2. Ebstein's anomaly
3. Caudal dysgenesis syndrome
4. Elfin facies

Correct answer: 2. Ebstein's anomaly

Explanation: Lithium usage in pregnancy can lead to Ebstein's anomaly cardiovascular defects.